Duration of action depends on-
1. Clearance
2. Rate of elimination
3. Bioavailability
4. All

Correct answer: 4. All

Explanation: Ans. is 'd' i.e., All Duration of action depends on o Lipid solubility o Rate of elimination o Volume of distribution o Drug concentration o Clearance o Plasma protein binding o Bioavailibility